Fastest acting schizontocidal drug among the fillowfol is
1. Artemether
2. Mefloquine
3. Chloroquine
4. Proguanil

Correct answer: 1. Artemether

Explanation: Ref-KDT 6/e p792 Artemisinin derivatives like dihydroartemisinin,arteether and artemether etc fastest acting anti malarial drugs